Burger disease is -
1. Migratory thrombophlebitis
2. Thrombangitis obliterans
3. Superficial thrombophlebitis
4. Causalgia

Correct answer: 2. Thrombangitis obliterans

Explanation: Answer- B. Thrombangitis obliteransBuerger's disease is also known as thrombangitis obliterans.Buergers disease is characterized by occlusive disease of the small and medium sized arteries.